A positive "Stallworthy's sign" is suggestive of which of the following conditions:
1. Twin pregnancy
2. Breech presentation
3. Vesicular mole
4. Low lying placenta

Correct answer: 4. Low lying placenta

Explanation: Ans. is d i.e. Low lying placentaRef Dutta Obs. 7/e, p 244Stallworthy's sign: Slowing of the fetal heart rate on pressing the head down into the pelvis and prompt recovery on release of the pressure is termed Stallworthy's sign and is suggestive of posterior placenta previa.Note: Presence of this sign is not always significant because it may be due to fetal head compression even in an otherwise normal case.